One unit of fresh blood rises the Hb% concentration by:
1. 0.1 gm%
2. 1 gm%
3. 2gm%
4. 2.2 gm%

Correct answer: 2. 1 gm%

Explanation: In general for a stable, euvolemic adult patient, the transfusion of 1 unit of packed cells raises the hemoglobin concentration by 1g/dl. Ref: Fundamentals of Surgical Practice By Andrew Kingsnorth, Douglas Bowley, 3rd Edition, Page 234; Bailey and Love's Short Practice of Surgery, 24th Edition, Page 62.